Best anaesthesia for status Asthmaticus is :
1. Thiopentone
2. Ether
3. Ketamine
4. N2O

Correct answer: 3. Ketamine

Explanation: Ans. is 'c' i.e. Ketamine Ketamine causes Sympathetic stimulation which leads to Bronchodilatation so it is the anaesthetic of choice for Status Asthmaticus.It is more potent Bronchodilator than HalothaneAlso knowMuscle Relaxant of Choice in Asthma pancuronium*Muscle Relaxant to be avoided in Asthma - Metocurine & Succinyl choline* (d/t secretion of histamine)